The treatment of choice for fibrous dysplasis of mandible in a 7 year old girl is
1. Wait and watch
2. Symmetrical resection of mandible
3. Hemi mandibulectomy
4. Local irradiation

Correct answer: 1. Wait and watch

Explanation: Fibrous dysphasia starts in early childhood. Lesion is usually small and asymptomatic and often diagnosed accidentally during radiological examination. Lesions are small and-asymptomatic and progress slowly. Majority of fractures heal by conservative management Sarcomatous changes occur by irradiation.